Microlaryngoscopy was started by:
1. Bruce Benjamin
2. Kleinsasser
3. Chevalier Jackson
4. None

Correct answer: 2. Kleinsasser

Explanation: The present day microsurgical techniques of the larynx are a credit to Kleinsasser.